Which of the following inhibit gastric secretion by blocking H2 receptors:
1. Omeprazole
2. Ranitidine
3. Sucralfate
4. Misoprostol

Correct answer: 2. Ranitidine

Explanation: Ans. B i.e. Ranitidine Ranitidine It is a histamine H2-receptor antagonist that inhibits stomach acid production. It is commonly used in treatment of peptic ulcer disease (PUD) and gastroesophageal reflux disease (GERD).